Internucleosomal cleavage of DNA is characteristic of
1. Reversible cell injury
2. Irreversible cell injury
3. Necrosis
4. Apoptosis

Correct answer: 4. Apoptosis

Explanation: Apoptosis ) is a process of programmed cell death that occurs in multicellular organisms. Biochemical events lead to characteristic cell changes (morphology) and death. These changes include blebbing, cell shrinkage, nuclear fragmentation, chromatin condensation, chromosomal DNA fragmentation, and global mRNA decay. In H&E-stained tissue sections, the nuclei of apoptotic cells show various stages of chromatin condensation and aggregation and, ultimately, karyorrhexis (Fig. 1-21); at the molecular level this is reflected in fragmentation of DNA into nucleosome-sized pieces. Ref Robbins 9/e 18